Bacterial spores are hest destroyed by-
1. UV rays
2. Autoclaving at 121degC for 20 mints
3. Hot air Oven
4. Infrared rays

Correct answer: 2. Autoclaving at 121degC for 20 mints

Explanation: Ans. is 'b' i.e., Autoclaving at 121degc for 20 minutes Autoclaving . Autoclaving is a method to sterilize equipment by subjecting them to high pressure at 121degC or more. . It is sterilization by steam under pressure. . The device which is used for autoclaving is known as autoclave.